Prominent corneal nerves are seen in all except -
1. Ectodermal dysplasia
2. Ichythyosis
3. Refsum's syndrome
4. Macular dystrophy

Correct answer: 4. Macular dystrophy

Explanation: Macular dystrophy (Groenouw type-II)It is an autosomal recessive dystrophy characterisedby appearance of dense grey opacity in the centralcornea. The condition results due to accumulation ofmucopolysaccharides owing to a local enzymedeficiency. It occurs in childhood (5 to 10 years) andleads to marked defective vision in early life, whichusually requires penetrating keratoplasty. REF:Comprehensive ophthalmology,AK Khurana,4th edition,pg no.118.